What type of fracture of petrous temporal bone has got the highest chance of facial nerve paralysis?
1. Longitudinal
2. Transverse
3. Oblique
4. All have equal incidence

Correct answer: 2. Transverse

Explanation: B i.e. Transverse